Migratory thrombophlebitis is associated with all of the following malignancies, except:
1. Testis
2. Lung
3. Colon
4. Pancreas

Correct answer: 1. Testis

Explanation: Migratory thrombophlebitis (Trousseau's syndrome) is particularly associated with adenocarcinomas of:- Pancreas Colon Lung Because of associated paraneoplastic syndrome there is hypercoagulability.